Iodine content in amiodarone is
1. 10-20%
2. 20-40%
3. 40-60%
4. 60-80%

Correct answer: 2. 20-40%

Explanation: Amiodarone contains around 37% of iodine This iodine content is repsonsible for thyroid disorders, corneal microdeposts and pulmnary fibrosis of amiodarone amiodarone is a class 3 agent Ref: KD Tripathi 8th ed